The most appropriate method for collecting urine for culture in case of vesicovaginal fistula is :
1. Suprapubic needle aspiration
2. Midstream clean catch
3. Foley's catheter
4. Sterile speculum

Correct answer: 3. Foley's catheter

Explanation: Foley's catheter